KOH wet mount is prepared for
1. Bacteria
2. Virus
3. Fungus
4. Parasite

Correct answer: 3. Fungus

Explanation: KOH preparation: Specimen is placed in a drop of 10%KOH on a slide and covered with a cover slip. It is heated gently and examined under a microscope. Yeast cells and hyphae may be observed. Reference: Textbook of Microbiology; Baveja; 4th edition .